Botulinum toxin produces skeletal muscle paralysis by:
1. Enhancing release of norepinephrine
2. Inhibiting release of acetylcholine
3. Direct damage to nerve endings
4. Producing hemolysis

Correct answer: 2. Inhibiting release of acetylcholine

Explanation: Ref: KD Tripathi pharmacology 7th edition (page.no: 99) Botulinum toxin A and B are highly potent exotoxins produced by Clostridium botulinum that is responsible for Botulism. These neurotoxic proteins cause long-lasting loss of cholinergic transmission by interacting with an axonal protein involved in the exocytic release of Ach